1st evidence of calcification of Mandibular 1st molar is seen in
1. At birth
2. 9-10 years
3. 11-12 years
4. 8-9 years

Correct answer: 1. At birth